Most common cause of CA cervix:
1. HPV 6 and 18
2. HPV16andl8
3. HPV 6
4. HPV 6 and 11

Correct answer: 2. HPV16andl8

Explanation: Ans. (b) HPV 16 and 18Ref. Shaws 15th ed, / 952* Women with STD, HIV infection, herpes simplex virus 2 infection, human papilloma virus (HPV) infection (16, 18, 31, 33) or condylomata have a high predisposition to cancer.* Of these, HPV is now considered the most important cause, most commonly cause by HPV 16 and 18* Most HPV infection 16, 18 are symptomless in young women and clear within 2 years.* Persistent infection is the cause of cancer of the cervix in 70-90% cases.